Most common symptom in buphthalmos is-
1. Lacrimation
2. Pain
3. Photophobia
4. Itching

Correct answer: 1. Lacrimation

Explanation: Ans. is 'a' i.e., Lamination "Commonest symptom is watering" -- MukherjeeIn Buphthalmoso Most common symptom - Watering (lacrimation)o 2nd most common symptom - Photophobiao Most troublesome symptom - Photophobia (Child avoids light)o First sign - Corneal edema with wateringo Haab striaeo Large corneao Deep anterior chambero Lens antero-posteriorly flat